At 29 weeks gestational age, it becomes apparent that the fetus has developed hydrops. All of the following are characteristics of fetal hydrops Except
1. Polyhydramnios
2. Small placenta
3. Pericardial effusion
4. Subcutaneous edema

Correct answer: 2. Small placenta

Explanation: Fetal hydrops occurs as a result of excessive and prolonged hemolysis due to isoimmunization.Characteristics of fetal hydrops include abnormal fluid in two or more sites such as the thorax, abdomen, and skin. The placenta is also markedly erythematous, enlarged, and boggy. In addition, massive hepatomegaly and splenomegaly may be present